Careful testing of the visual fields in a patient complaining of difficulty reading demonstrates a central scotoma involving one visual field. This defect is MOST likely due to a lesion involving which of the following structures?
1. Macula
2. Optic chiasm
3. Optic radiations in the parietal lobe
4. Optic radiations in the temporal lobe

Correct answer: 1. Macula

Explanation: Here is a list that may help you sort through these problems: Central scotoma ~ macula Ipsilateral blindness ~ optic nerve Bitemporal hemianopia ~ optic chiasm Homonymous hemianopia ~ optic tract Upper homonymous quadrantanopia ~ temporal optic radiations Lower homonymous quadrantanopia ~ parietal optic radiations Also, cortical lesions produce defects similar to those of the optic radiations, but may spare the macula. Ref: Sterns G.K., Faye E.E. (2011). Chapter 24. Low Vision. In P. Riordan-Eva, E.T. Cunningham, Jr. (Eds), Vaughan & Asbury's General Ophthalmology, 18e.